Low serum alkaline phosphatase is seen with
1. Hypoparathyroidism
2. Hypophosphatasia
3. Hyperparathyroidism
4. Pseudo-hypoparathyroidism

Correct answer: 2. Hypophosphatasia

Explanation: SAP| - Hypophosphatasia SAP| - Rickets, increase PTH SAP|||- Paget's SAP Normal - Hypoparathyroidism,Pseudo hypoparathyroidism,Multiple myeloma,Osteoporosis